Fixative agent for PAP smear is which of the following?
1. Normal saline
2. 95% ethanol
3. Formalin
4. Air drying

Correct answer: 2. 95% ethanol

Explanation: PAP smear is an important screening test which is used to diagnose cervical dysplasia or cervical carcinoma in females. We use Ether and 95% ethyl alcohol solution in the ratio 1:1 as fixative for the purpose of PAP smear. Best screening test to pick up cervical cancer in the early stage - (Visual Inspection of Cervix with Acetic acid)